Non pitting edema is seen in?
1. Congestive cardiac failure
2. Myxedema
3. Liver failure
4. Renal failure

Correct answer: 2. Myxedema

Explanation: ANSWER: (B) MyxedemaREF: Harrison's 18th ed chapter 36"The edema is non pitting in myxedema because of deposition of hyaluronic acid"Causes of non pitting pedal edema:MyxedemaHyperthyroidism (pretibial myxedema secondary to Graves' disease),FilarisasisLymphedemaLipoedema